Glycine is useful in all of the following, except:
1. Purine synthesis
2. Creatine synthesis
3. Heme synthesis
4. Synthesis of spermine

Correct answer: 4. Synthesis of spermine

Explanation: CREATININE is Synthesized from 3 Amino Acids (Glycine, Arginine and Methionine) In Heme; Succinyl CoA + Glycine produces Heme In the liver and erythroid precursor cells. C4, C5, N7 of Purine ring is contributed by Glycine, Remember glycine is not contuibute to Pyrimidine Ring. The precursor for synthesis of spermine is the amino acid ornithine.